Sulphur containing amino acid is/are -
1. Aspartic acid
2. Glutamine
3. Methionine
4. Glycine

Correct answer: 3. Methionine

Explanation: Ans. is 'c' i.e., Methionine o Based on chemical structure of side chain (R), amino acids are classified into: -1) Aliphatic amino acids:- Alanine, glycine, isoleucine, leucine, valine.2) Hydroxy amino acids:- Serine, threonine, tyrosine.3) Sulfur containing amino acids:- Cysteine, methionine.4) Dicarboxylic amino acids:- Aspartic acid (aspartate), glutamic acid (glutamate).5) Amide containing amino acids:- Glutamine, aspargine (these are amides of dicarboxylic amino acids. Glutamine is amide of glutamic acid and aspargine is amide of aspartic acid).6) Aromatic amino acids:- Phenylalanine, tyrosine, tryptophan.7) Imino acids or heterocyclic amino acids: - One of the 20 amino acids, proline is an imino (-NH) acid not an amino (-NH2) acid, as are other 19.